The enzyme, 5a-reductase is responsible for:
1. Conversion of cholesterol to pregnenolone and enhancing steroidogenesis
2. Conversion of testosterone to dihydrotestosterone
3. Aromatization of testosterone to estradiol
4. Increasing the synthesis of LH

Correct answer: 2. Conversion of testosterone to dihydrotestosterone

Explanation: Ans. B. Conversion of testosterone to dihydrotestosterone5 a -Reductase is the enzyme that converts testosterone to dihydrotestosterone. 5 a -Reductase is associated with increasing the most potent androgen, dihydrotestosterone, and reducing LH secretion. Estrogens are associated with female secondary sex characteristics, although some androgens regulate pubic hair development.